The most important function of sentinel surveillance is
1. To determine the trend of disease in a population
2. To notify disease
3. To find the total amount of disease in a population
4. To plan effective control measures

Correct answer: 3. To find the total amount of disease in a population

Explanation: Sentinel Surveillance

It estimates disease prevalence in a population.
It is a method for identifying the missing cases and thereby supplementing the notified cases.